QRS complex is due to -
1. Ventricular repolarization
2. Atrial depolarization
3. Conduction through AV node
4. Ventricular depolarization

Correct answer: 4. Ventricular depolarization

Explanation: Ans. is "d" i.e., Ventricular depolarization Event of ECGCauseP-waveAtrial depolarizationQRS complexVentricular depolarizationTwaveVentricular repolarizationPR intervalRepresents time taken by impulse to travel from SA node to ventricle (Atrial depolarization and AV conduction)QT intervalDuration of full ventricular contraction (Ventricular depolarization + Repolarization)